In emergency tracheostomy the followingstructures are damaged except:
1. Isthmus of the thyroid
2. Inferior thyroid artery
3. Thyroid ima
4. Inferior thyroid vein

Correct answer: 2. Inferior thyroid artery

Explanation: Inferior thyroid artery Ref: Keith L Moore 5/e p1100]Isthmus, thyroid ima artery and inferior thyroid veins are midline structures and thus can be injured during tracheostomy, more so during emergency tracheostomy. Inferior thyroid artery, a branch of the thyrocervical trunk of the subclavian artery lies laterally away from midline, thus can escape injury.In emergency tracheostomy following structures can be damaged:- Isthmus- Inferior thyroid veins- Thyroid ima artery- Left brachio-cephalic vein, jugular venous arch- Pleura (especially infants)- Thymus- Esophagus (the trachea is small, mobile, and soft in infants damage the esophagus)